A pregnant mother is treated with oral anticoagulant.The likely congenital malformation that may result in the fetus is:
1. Long bones limb defect
2. Cranial malformation
3. Cardiovascular malformation
4. Chondrodysplasia Punctata

Correct answer: 4. Chondrodysplasia Punctata

Explanation: Warfarin is an anticoagulant drug.
Action : Interferes with the synthesis of the vitamin K dependent factors like II, VII, IX and X.
Side effects:

Hemorrhage
It leads to:

– Contradi’s syndrome : skeletal and facial anomalies in the fetus
– Chondrodysplasia punctata in the fetus.

Miscarriage, IUGR and stillbirths accentuates neonatal hypothrombinemia.